McNeal's peripheral Zone in prostate gland is the seat of
1. Benign Hypertrophy
2. Cancer
3. Prostatitis
4. Calculi

Correct answer: 2. Cancer

Explanation: Carcinoma prostate arises from the peripheral zone in prostatic gland proper, commonly in posterior lobe. BPH arises from the submucosal glands of periurethral transitional zone. Reference : page 1044 and1048 SRB's manual of surgery 5th edition